Intracapsular but extrasynovial is ?
1. Long head of triceps
2. Long head of biceps
3. Short head of biceps
4. Medial head of biceps

Correct answer: 2. Long head of biceps

Explanation: Origin of long head of biceps is intracapsular but extrasynovial, enclosed by a prolongation of synovial membrane of shoulder joint.